True about Glomus jugulare tumor:
1. Most common in male
2. Arises from non-chromaffin cells
3. Lymph node metastasis seen
4. All

Correct answer: 2. Arises from non-chromaffin cells

Explanation: Explanation Glomus tumor is more common in females. Glomus tumor is also referred to as chemodectomy or nonchromaffin paraganglion. Glomus tumor is a benign tumor, therefore lymph node metastats is not present. Multicentric tumors are found in 3-10% of sporadic cases and in 25-50% of familial cases. Fluctuating (Pulsatile) tinnitus and conductive hearing loss are the earliest symptoms of glomus tumor.